Peripheral neuropathy is seen due to prolonged use of all, except -
1. Zalcitabine
2. Didanosine
3. Stamivudine
4. Lamivudine

Correct answer: 4. Lamivudine

Explanation: Ans. is 'd' i.e., Lamivudine